Most common endocrine disturbance associated with vitiligo is -
1. Addison's disease
2. Thyroid disease
3. Diabetes insipidus
4. Diabetes mellitus

Correct answer: 2. Thyroid disease

Explanation: Option a, b & d, all are associated with vitiligo. However, thyroid disease is most common.
"Vitiligo is frequently associated with disorders of autoimmune origin with thyroid abnormalities being the most common".... Essential dermatology.